Cigar body is seen in
1. Cryptococcosis
2. Histoplasmosis
3. Sporotrichosis
4. Aspergillosis

Correct answer: 3. Sporotrichosis

Explanation: Sporothrix schenckii occurs in yeast phase in the tissues and in the culture at 37C and in mycelial phase in the culture at 23C. The yeast phase appears as the cigar- shaped cells and mould form contains hyphae carrying flower-like clusters of small conidia borne on delicate sterigmata. Sporothrix schenckii causes sporotrichosis. Ref: Textbook of Microbiology, Ananthanarayan and Paniker; 9th edition